Most common type of amblyopia is
1. Stimulus deprivation amblyopia
2. Anisometropic amblyopia
3. Strabismic amblyopia
4. Ametropic amblyopia

Correct answer: 3. Strabismic amblyopia

Explanation: Strabismic amblyopia

It is due to unilateral suppression in large squint.
It is the most common type.
It has best prognosis.